Left testicular vein drains into:
1. Inferior vena cava
2. Left renal vein
3. Right renal vein
4. Femoral vein

Correct answer: 2. Left renal vein

Explanation: Ans. B Left renal veinRef: BDC, Vol: 2 pg. 2236VENOUS DRAINAGE OF TESTIS* The veins emerging from the testis form the pampiniform plexus.* Out of this plexus finally one vein forms in each side:# On the right side: Drains into the inferior vena cava# On the left side: Drains into the left renal vein.* Femoral vein drains into external iliac vein.Remember: IVC is on right side, so the right side testicular vein drains here"And left side testicular vein drains into left renal vein.